Werner's syndrome (multiple endocrine neoplasia type I) is characterised by all of the following except -
1. Tumours of anterior pituitary
2. Tumours of parathyroids
3. Pancreatic adenomas
4. Phaeochromocytoma

Correct answer: 4. Phaeochromocytoma